Which one is not a branch of maxillary artery
1. Anterior tympanic
2. Anterior ethmoidal
3. Middle meningeal
4. Inferior alveolar

Correct answer: 2. Anterior ethmoidal

Explanation: Anterior ethmoidal artery is a branch of ophthalmic artery.